The major function of Major Intrinsic Protein 26 (MIP-26) is -
1. Glucose transport in lens
2. Transport of water in lens
3. Diffusion barrier
4. Capsule of lens

Correct answer: 2. Transport of water in lens

Explanation: Major intrinsic proteins of the lens belongs to superfamily of aquaporines and is classified as aquaporine MIP26 or aquaporin 0. It has role in lens transparency.